Fat in the duodenum lumen
1. Stimulates gall bladder contraction
2. Inhibits gall bladder contraction
3. Inhibits CCK secretion
4. Releases secretin

Correct answer: 1. Stimulates gall bladder contraction

Explanation: Products of fat digestion (long chain fatty acids with more 10 carbon atoms) in the duodenum increase the secretion of CCK, the most potent hormone causing gallbladder contraction.